All are true in Kawasaki except:
1. Exudative conjuctivits
2. Pedal edema
3. Strawberry tongue
4. Thrombocytosis

Correct answer: 1. Exudative conjuctivits

Explanation: Ref: CMDT 2013, Pg 1417-1418Explanation: Kawasaki Disease (mucocutaneous lymphnode syndrome):Autosomal DominantAutosomal RecessiveX- linked dominantX-linked recessiveHuntington's disease, Neurofibromatosis type 1, Myotonic dystrophy, Tuberous sclerosis, PCKD, Familial polyposis edi, Hereditory spherocytosis, Von Wiflebrard disease. Marfan's, Osteogenesis imperfecta, achondroplasia, Familial hypercholesterolemia. Acute intermittent porphyriaHemochromatosis, cystic fibrosis, a-1 antitrypsin deficiency, thaiass emia, sickle cell anemia, CAH. F reidrick's ataxia, spino muscular atrophy. alkaptonuria, Wilson's disease. homocystinuriaVit-D resistant rickets Fragile X syndrome Alports, Charcot-marie tooth diseaseRett syndromeBeckers & Duchen's MD, Haemophila A & B,Fabry's diseaseLesch NyhanHunter's, Menke's Wiskott-AldrichColor blindnessG6PD deficiencyY - linked inheritance: Hairy pinnaMultisystem, medium vessel vasculitisChildren 3monihs-5yrsInfectious agents implicated- Corona virus, parvovirus, bocavirus, CMV, y.pseudotuber- culosis, meningococcusFever + 4 of the following for 5 days:1. Bilateral nonexudative conjunctivitis2. Mucous membrane -injected pharynx, erythema, swelling & fissuring of the lips, strawberry tongue3. Peripheries- edema, desquamation, erythema of the palms & soles, induration of hands & feet. Beau lines4. A polymorphous rash5. Cervical Ivmphadenopathy >1.5 cmRemember:Thrombocytosis may be present. Not ThrombocytopeniaCoronary vessel arteritis & aneurysms. MIEspecially in males, high fever, high CRP. anemiaHypoalbuminemia, hyponatremia, urticariaTreatment- IVIG, AspirinTNF blockers-linfliximab, Etanercept.Cyclophosphamide, methotrexate, plasmapheresisSurgical correction of the coronary aneurysms, oral anticoagulation in large aneurysms.Types of vasculitis:1. Ijargc vessel vasculitis:Takayasu's arteritisGiant cell arteritis2. Medium vessel vasculitis:Polyarteritis Nodosa (PAN)Kawasaki disease3. Small vessel vasculitis:Microscopic poly angitisWegner's granulomatosisChurg-Strauss syndromeHenoch Schoniein Purpura (HSP)Mixed essential cryoglobulinemia